Self-stimulation is experimentally done from which part of brain
1. Medial forebrain bundle
2. Area around aqueduct of sylvius
3. PV region of hypothalamus
4. Radical radiotherapy

Correct answer: 1. Medial forebrain bundle

Explanation: Ans. a. Medial forebrain bundleMedial forebrain bundle is one of the areas responsible for self-stimulationResponsible Centres for Self-stimulationVentral tegmentumdegMedial forebrain bundleQNucleus accumbensQFrontal cortex0Drugs that block post-synapticin creases it. The main site D3 receptors dopaminergic reduces the rate of self-stimu ation. Dopamine agonist of the relevant receptor is the nucleus accumbens located at striatum base.